Formulation of National Health Manpower policy is done by
1. Shrivastava committee
2. Bajaj committee
3. Jungawalla committee
4. Chaetah committee

Correct answer: 2. Bajaj committee

Explanation: BAJAJ COMMITTEE :

Formulation of "National Health and Manpower policy".
Formulation of "National medical and Health education policy".